Which of the following Angiotensin II receptor blocker shows Antiplatelet action?
1. Losartan
2. Valsartan
3. Irbesartan
4. Candesartan

Correct answer: 1. Losartan

Explanation: ANSWER: (A) LosartanREF: KDT 6th edition page 488Losartan It is a competitive antagonist and inverse agonist of A-II, 10,000 times more selective for ATI than AT2 receptor does not block any other receptor or ion channel, except thromboxane A2 receptor (has some platelet antiaggregatory property). It blocks all overt actions of A-II, viz. vasoconstriction, central and peripheral sympathetic stimulation, release of aldosterone and Adr from adrenals, renal actions promoting salt and water reabsorption, central actions like thirst, vasopressin release and growth-promoting actions on heart and blood vessels. No inhibition of ACE has been noted.